Most common muscle damaged in rotator cuff -
1. Supraspinatus
2. Infraspinatus
3. Subscapularis
4. Teres minor

Correct answer: 1. Supraspinatus

Explanation: Ans. is 'a' i.e., Supraspinatus Rotator cuffo Rotator cuff is the group of muscles and their tendons around the shoulder that act to stabilize the shoulder,o As it consists both muscles and tendon, it is also referred to as musculotendinous cuff of the shoulder,o Muscles which forms the rotator cuff arise from the scapula and are inserted into the lesser and greater tubercle of humerus.o These muscles are subscapularis, Supraspinatus, infraspinatus and teres minor.o The cuff gives stability to capsule of the shoulder joint all around except inferiorly.o This explains why dislocation of the humerus occur most commonly in a downward direction.o During injury to rotator cuff, tendons are affected, not the muscle. Supraspinatus tendon is affected most frequently.